Which of the following if combined with rivastagmine, decreases its efficacy?
1. Selective serotonin reuptake inhibitors
2. Reversible inhibitor of MAO-A
3. Tricyclic antidepressants
4. Atypical antidepressants

Correct answer: 3. Tricyclic antidepressants

Explanation: Rivastigmine is a acetylcholinesterase inhibitor REF: KD Tripathi 8th edition